Myocardial abscess is most common in acute endocarditis caused by-
1. Streptococcus viridans
2. Enterococci
3. Streptococcus pneumoniae
4. Staphylococcus aureus

Correct answer: 4. Staphylococcus aureus

Explanation: Ans. is `d' i.e., Staphylococcus aureus